Mallory hyaline is characteristic feature of?
1. Hepatocellular carcinoma
2. Primary biliary cirrhosis
3. Alcoholic liver disease
4. Liver abscess

Correct answer: 3. Alcoholic liver disease

Explanation: Mallory bodies or alcoholic hyaline: These are eosinophilic, intracytoplasmic inclusions seen in perinuclear location within swollen and ballooned hepatocytes. They represent aggregates of cytoskeletal intermediate filaments (prekeratin). They can be best visualised with connective tissue stains like Masson's trichrome and chromophobe aniline blue, or by the use of immunoperoxidase methods. Mallory bodies are highly suggestive of, but not specific for, alcoholic hepatitis TEXT BOOK OF HARSH MOHAN SIXTH EDITION PAGE.621 IMAGE REF : GENERAL AND SYSTEMIC PATHOLOGY RAMDAS NAYAK SECOND EDITION FIG 19-16 PAGE 544